Chondritis of aural cartilage is most commonly due to -
1. Staphylococcus
2. Pseudomonas
3. Candida
4. Both staph & Pseudomonas

Correct answer: 2. Pseudomonas